Mycobacterium tuberculosis is differentiated from other atypical mycobacteria by:
1. Niacin test
2. AFB staining
3. PAS staining
4. None

Correct answer: 1. Niacin test

Explanation: Ans. is. 'a' i. e., Niacin test